Chromodacryorroea (shedding of pink tears due to accumulation of porphyrin) may be seen in poisoning with -
1. Arsenic
2. Barbiturate
3. CuSO4
4. Oraganophosphorous

Correct answer: 4. Oraganophosphorous

Explanation: Chromodacryorrhea is seen in organophosphate poisoning.